A typical febrile seizure is characterized by all Except
1. Male children are more prone
2. Occurs with sudden rise in temperature
3. Manifests with partial seizures
4. Phenobarbitone prevents further attacks

Correct answer: 3. Manifests with partial seizures

Explanation: FEBRILE SEIZURES:Febrile seizures are defined as seizures which occurring during fever.Febrile seizures are the commonest cause of seizures in childhoodMost common age of presentation is 6 months to 5 yearsOccurs at the sudden rise of core temperature.Recurrence rate is 30-50%Types: typical and atypical febrile seizuresTypical febrile seizureAtypical febrile seizureSingle episode/dayMore than 1 episode/dayDuration:<15 min>15minGeneralized tonic-clonic typePartial seizuresDrugs such as diazepam, clobazam, phenobarbitone can prevent further attacks, but not eliminate the risk completely.Febrile seizures - no postictal neurological deficit and EEG is normal.Most common seizures in childhood- FEBRILE SEIZURESMost common neonatal seizures - SUBTLE SEIZURES.